Macrocytosis is seen in all of the following disorders, except-
1. Hypothyroidism
2. Thalassemia major
3. Folic acid deficiency
4. B12 deficiency

Correct answer: 2. Thalassemia major

Explanation: Ans. is 'b' i.e., Thalassemia major